Structures passing through aortic opening in diaphragm are all EXCEPT:
1. Aorta
2. Azygous vein
3. Thoracic duct
4. Vagus nerve

Correct answer: 4. Vagus nerve

Explanation: Ans. (d) Vagus nerveRef: BDC 6th ed. vol. II / 333